The late features of kernicterus include all except –
1. Hypotonia
2. Sensorineural hearing loss
3. Choreoathetosis
4. Upward gaze palsy

Correct answer: 1. Hypotonia